Longest acting oral sulphonamide is
1. Sulphadoxine
2. Sulphadiazine
3. Sulphacetamide
4. Mafenide

Correct answer: 1. Sulphadoxine

Explanation: Sulphadoxine is the longest acting orally absorbable drug. Mafenide is a topical drug.sulphadiazine and sulfacetamide are short-acting oral drugsRef: KD Tripathi 6th ed .pg: 684